Which of the following is not capsulated -
1. Pneumococcus
2. Cryptococcus
3. Meningococcus
4. Proteus

Correct answer: 4. Proteus

Explanation: Ans. is 'd' i.e., Proteus Capsuleo Many bacteria secrete a viscid material around the cel! surface,o When this is organized into a sharply defined structure, it is known as capsule,o Capsules are protective and protect the bacteria from phagocytosis and from lytic enzymes.o Some bacteria loose their capsules on repeated subcultures.Cansulated oroanismso Pneumococcuso Yersiniao Bacillus anthraxo V. parahemolyticuso Bordetellao H. influenzaeo Meningococcio Fresh strains of staphylococci, streptococci and E coli.o CL perfringens and CL butyricumo Bacteroideso Klebsiellao Cryptococcus.